All are examples of gastro-kinetic drugs except?
1. Cisapride
2. Domperidone
3. Ampicillin
4. Erythromycin

Correct answer: 3. Ampicillin

Explanation: Ans. is 'c' i.e., Ampicillin o Prokinetic drugs are --> Metoclopramide, Domperidone, Cisapride, Mosapride, Tegaserod, renzapride, prucalopride. About option 'd' Erythromycin has some gastrokinetic action ? "Erythromycin stimulates motilin receptors in the GIT, therapy induces gastric contractions, hastens gastric emptying and promotes intestinal motility". - KDT 6th/e p. 728.